Which complex of ETC is not associated with liberation of energy
1. Complex I
2. Complex II
3. Complex III
4. Complex IV

Correct answer: 2. Complex II

Explanation: Components of ETCProsthetic group Features Complex I NADH dehydrogenase / NADH Co-Q reductase / NADH Ubiquinone FMN , FeSEnergy - 12 Kcal/molTo pump 4 protons out of mitochondria into inter membranous spaceComplex IISuccinate dehydrogenase / Succinate Q reductaseFAD , FeSNot a proton pump as energy is liberated Coenzyme Q / Ubiquinone Q Non protein member of ETC For transferring to complex III it accepts hydrogen atoms from 1.FMNH2 produced in complex I2.FADH2 produced in complex II3.FADH2 produced in beta oxidation by acyl CoA dehydrogenase & glycerol 3 phosphate dehydrogenase Complex IIICytochrome bC1 complex / Ubiquinone cytochrome C oxidoreductase / Cytochrome reductase FeS , Heme Energy - 10 Kcal/molTo pump 4 protons out of mitochondria into inter membranous spaceCytochrome C Soluble carrier protein of intermembranous space Complex IV Cytochrome C oxidase / Cytochrome oxidase 2 Heme , 2 Copper ions of CuA , CuBTo pump 2 protons out of mitochondria into inter membranous spaceHarper's illustrated Biochemistry , 30th ed , page 131